Tinea cruris is caused by
1. Epidermophyton
2. Trichosporon
3. Microsporum
4. Candida

Correct answer: 1. Epidermophyton

Explanation: Tinea cruris is caused by Epidermophyton floccosum and Trichophyton rubrum